Electron transport from cytochrome 'b' to cytochrome `c' is inhibited by ?
1. Oligomycin
2. Antimycin
3. Piericidin
4. Carbon monoxide

Correct answer: 2. Antimycin

Explanation: Ans. is 'b' i.e., Antimycin Cytochrome b to cytochrome CI (complex III) is inhibited by dimercaprol, antimycin A, BAL and naphthyloquinone.